In multibacillary leprosy the follow up examination after adequate treatment should be done yearly for -
1. 2 years
2. 3 years
3. 5 years
4. 10 years

Correct answer: 3. 5 years

Explanation: In multibacillary leprosy, it is recommended that the cases be examined clinically atleast once a year for a minimumof 5 years after completion of therapy. Reference; Park's Textbook of preventive and social medicine, 24th edition.Pg no. 344